Normal sized to enlarged kidneys in a patient with chronic failure is indicative of -
1. Benign nephrosclerosis
2. Chronic glomerulonephritis
3. Chronic interstitial nephritis
4. Primary amyloidosis

Correct answer: 4. Primary amyloidosis